The commonest mode of inheritance of Von Willebrand's disease -
1. Codominant
2. Autosomal recessive
3. Autosomal dominant
4. X linked recessive

Correct answer: 3. Autosomal dominant

Explanation: Von Willebrand disease is of following types : -


Type I (most common 70%) → Autosomal dominant, with a reduced quantity of vWF.
Type II (25%) → Autosomal dominant, with a qualitative defect of vWF.
Type III → Autosomal recessive, with reduced quantity of vWF